The retentive terminal of a clasp should always point
towards the
1. Facial surface
2. Occlusal surface
3. Gingiva
4. Lingual surface

Correct answer: 2. Occlusal surface